Prognosis of schizophrenia is best, if:
1. Acute onset
2. Insidious onset
3. Family history is positive
4. Negative symptoms

Correct answer: 1. Acute onset

Explanation: Ans. Acute onset